Which is not an emergency contraceptive :
1. Combined oral pills
2. Estrogen
3. Desogestrel
4. Levonorgestrel

Correct answer: 3. Desogestrel

Explanation: Emergency contraception: The preparations available include Two tablets of relatively high doses of combined pill containing 100mcg of EE2 and 1 mg norethisterone or 500 mcg LNG taken within 72 hrs of intercourse Others include LNG tablets Mifepristone Ulipristal Centchroman Prostaglandins Copper T IUCD Ref: Shaw Gynecology 17 e pg 270.